All of the following statements about sodium fluoride in otosclerosis are true, except
1. Acts by inhibiting proteolytic enzymes in cochlea
2. Acts by inhibiting osteoblastic activity
3. Is contraindicated in chronic nephritis
4. Is indicated in patients with a positive schwartze sign

Correct answer: 2. Acts by inhibiting osteoblastic activity

Explanation: Sodium fluoride acts by inhibiting proteolytic enzymes in the cochlea and not by inhibiting osteoblastic activity. Sodium fluoride had been tried to hasten the maturity of active focus and arrest further cochlear loss, but controversies exist and this treatment is not recommended generally. Ref: Diseases of EAR, NOSE and THROAT by PL Dhingra; 7th Edition, pg no. 97